Most important dose-limiting toxicity of cancer chemotherapy is :
1. Gastrointestinal toxicity
2. Neurotoxicity
3. Bone marrow suppression
4. Nephrotoxicity

Correct answer: 3. Bone marrow suppression

Explanation: Depression of bone marrow is usually the most significant dose-limiting toxicity with cancer chemotherapy.